Which of the following statement is true about ether as an anesthetic agent::
1. Used with muscle relaxant
2. Slow induction
3. High risk of cardiac arrhythmia
4. Recovery faster

Correct answer: 2. Slow induction

Explanation: Ans. (b) Slow inductionRef : KDT 6th ed. / 371* Blood gas coefficient of ether is 12 which means ether has slow induction & slow recovery.* Irritant vapour, which can readily induce laryngeal spasm and make induction even slower and stimulates salivary and bronchial secretions, So atropine as pre medication is required.* Ether is highly inflammable and causes explosion with cautery. It should not be used when diathermy is needed in the airways because of risk of fire or explosion. Muscle relaxants need not be used as ether itself produces excellent relaxation.* Ether liberates catecholamines and tends to maintain blood pressure. Cardiac arrythmias occur rarely with ether and there is no sensitization of myocardium to circulating catecholamines.* Adrenaline is relatively safe with ether. Bronchial smooth muscle is relaxed.